Prostaglandins are derived from:
1. Stearic acid
2. Arachidonic acid
3. Glutamic acid
4. Aspartic acid

Correct answer: 2. Arachidonic acid

Explanation: Ans. (b) Arachidonic acidRef: Lippincott's Biochemistry, 6th ed. P 213* Prostaglandin is derived from the metabolism of arachidonic acid with the help of cyclooxygenase (COX) enzyme.